Which of the following hormone is not secreted by the kidney:
1. Renin
2. Angiotensin I
3. Erythropoietin
4. 1, 25 DHCC

Correct answer: 2. Angiotensin I

Explanation: B i.e. Angiotensin I